Dimorphic fungus in the following is
1. Candida
2. Cryptococcus
3. Blastomyces
4. Aspergillus

Correct answer: 3. Blastomyces

Explanation: Blastomyces is a dimorphic fungus, shows filamentous and yeast form. Candida and Cryptococcus show yeast form. Aspergillus shows filamentous form. Reference: Textbook of Microbiology; Baveja; 4th edition